Most common cause of stridor in infants is:
1. Laryngomalacia
2. Laryngeal cysts
3. Vocal cord polyp
4. None of the above

Correct answer: 1. Laryngomalacia

Explanation: Laryngomalacia is the most common cause of stridor in infants and is also the most common congenital laryngeal abnormality, accounting for approximately 60% of cases.